The model in which dental care is seen as privilege with the professional dominant in practitioner-patient relations is
1. Commercial model
2. Guild model
3. Interactive model
4. None of the above

Correct answer: 2. Guild model